Sub acute - Sclerosing pan - encephalitis (SSPE) is caused by
1. Measles
2. Mumps
3. Rubella
4. Small pox

Correct answer: 1. Measles

Explanation: (Measles) (137-Park 20th)* Subacute sclerosing pan-encephalitis (SSPE) is a rare complication which develops many years after the initial measles infections. It is characterized by progessive mental deterioration leading to paralysis, probably due to persistence of the virus in the brain.* Measles vaccination definitely constitutes a protection against the neurological and other complications by preventing natural measles from occurring* **A11 cases of severe measles and all cases of measles in areas with high case fatality rates should be treated with vitamin A